Antacid interfere with absorption of all of the following except :
1. Ketoconazole
2. Azithromycin
3. Oxytetracycline
4. Ofloxacin

Correct answer: 2. Azithromycin